Which of the following is not a measure of stroke volume?
1. Left ventricular end diastolic volume minus left ventricular end systolic volume
2. Ejection fraction times left ventricular end diastolic volume
3. Ejection fraction times cardiac output
4. Cardiac output/heart rate

Correct answer: 3. Ejection fraction times cardiac output

Explanation: Stroke vol is the volume of blood pumped from left ventricle per beat SV can be calculated by 1) CO =SV*HR 2)Ejection fraction= SV/ End diastolic. volume 3) SV= EDV-ESV of each ventricle